Cu T 380A IUCD should be replaced once in :
1. 4 years
2. 6 years
3. 8 years
4. 10 years

Correct answer: 4. 10 years

Explanation: 10 years